1 part per million fluoride is:
1. 1 mg in 10 L of water
2. 1 mg in 1 L of water
3. 10 mg in 1 L of water
4. 100 mg in 10 L of water

Correct answer: 2. 1 mg in 1 L of water

Explanation: ppm (or ppmm) is used to measure the concentration of a contaminant in soils and sediments. In that case, 1 ppm equals 1 mg of substance per liter of solid (mg/liter).